A young boy presented to OPD with multiple shiny pinhead size white papules over dorsum of hand, forearm and penis. What would be the diagnosis?
1. Scabies
2. Lichen planus
3. Lichen nitidus
4. Molluscum contagiosum

Correct answer: 3. Lichen nitidus

Explanation: lichen nitidus-monomorphic eruption of asymptomatic minute skin coloured shiny papules common sites- forearm, penis,buttocks, lower abdomen and chest age- common in children and young adults histopathology- claw clutching ball appearence rx- self limitingtopical steroids,PUVA,NBUVB,Systemic steroids. scabies - erythematous papules in web spaces, axilla, groins involving circle of hebra lichen planus- violaceous flat topped papules. molluscum contagiosum- pearly papules with central umbilication. IADVL textbook of dermatology page 1082.